Which of the following chemotherapeutic drugs has selective action on hypoxic tumor cells ?
1. Mitomycin C
2. Cisplatin
3. Doxorubicin
4. 5 Flurouracil

Correct answer: 1. Mitomycin C

Explanation: Ans. is 'a' i.e., Mitomycin Some important points about mitomycin. Mitomycin acts preferrentially on hypoxic cells It is a potent radiosensitizer It is absorbed consistently from Gl. tract so it administered by intravenous infusion